Most common ocular manifestation of mumps is-
1. Dacryoadenitis
2. Chorioretinitis
3. Anterior uveitis
4. Membranous conjunctivitis

Correct answer: 1. Dacryoadenitis

Explanation: Most common ocular manifestation of mumps is dacryoadenitis.